Venous drainage of esophagus is into the:
1. Azygous and inferior thyroid veins
2. Azygous, inferior thyroid and left gastric veins
3. Azygous, inferior thyroid and right gastric veins
4. Superior thyroid, inferior thyroid veins, azygous and hemi-azygous veins

Correct answer: 2. Azygous, inferior thyroid and left gastric veins

Explanation: Ans. b. Azygous, inferior thyroid and left gastric veins